Which of the following is not administered by intra dermal route?
1. BCG
2. Insulin
3. Mantoux
4. Drug sensitivity injection

Correct answer: 2. Insulin

Explanation: Insulin is administered subcutaneously. MMR vaccine, heparin are also given by SC route All others are by intradermal route. (Ref.Essentials of medical pharmacology TD Tripathi 6th edition page no.263)